The muscle which is resected in classical neck dissection is:
1. Sternohyoid
2. Stenrothyroid
3. Sterno mastoid
4. Sternocricoid

Correct answer: 3. Sterno mastoid